Binswanger's disease is a form of
1. Hypertensive retinopathy
2. Hypertensive nephropathy
3. Hypertensive encephalopathy
4. Subcortical leukoencephalopathy

Correct answer: 4. Subcortical leukoencephalopathy

Explanation: Binswanger's disease, also known as subcortical leukoencephalopathy and subcortical arteriosclerotic encephalopathy (SAE), is a form of small vessel vascular dementia caused by damage to the white brain matter. White matter atrophy can be caused by many circumstances including chronic hypertension as well as old age.